Hemophilia manifest clinically as rise in-
1. APTT
2. PT
3. CT
4. FDP

Correct answer: 1. APTT

Explanation: Ans. is 'a' i.e., APTT